Which organism acts as the control of autoclave?
1. Mycobacterium
2. Bacillus stearothermophilus
3. Coryne bacterium
4. Clostridium perfringens

Correct answer: 2. Bacillus stearothermophilus

Explanation: Ans: b (Bacillus stearothermophilus) Ref: Ananthanarayan, 7th ed,p. 78Autoclaving: (Moist heat) (121degC X 15 min under 15 lb/sq.inch pressure) - dressings, gloves, glass syringes, culture media, suture materials except catgut.Sterilizing control is by bacillus stearo thermophilus.Hot air oven: (Dry heat) (160degCX 1 hr)-glasswares, glass syringes, oil, grease, liquid paraffin, dusting powder. Sterilization control is by spores of non toxigenic strains of Clostridium tetani.